Carborundum is chemically known as
1. chromium carbide
2. nickel carbide
3. silicon carbide
4. aluminum carbide

Correct answer: 3. silicon carbide